Venous return to heart during quiet standing is facilitated by all of the following factors, except
1. Calf muscle contraction during standing
2. Valves in perforators
3. Sleeves of deep fascia
4. Gravitational increase in arterial pressure

Correct answer: 4. Gravitational increase in arterial pressure

Explanation: With gravitational force while standing, the venous return is reduced.